Post traumatic avascular necrosis is seen all of the following fractures except?
1. Waist of scaphoid
2. Neck of femur
3. Neck of talus
4. Surgical neck of humerus

Correct answer: 4. Surgical neck of humerus

Explanation: Avascular necrosis is commonly seen in Fracture femoral neck, fracture neck of talus, fracture waist of scaphoid and lunate, fracture neck of talus. Ref: Maheshwari, 3rd Edition, Pages 40-41